The following drug antagonizes the visceral side effects of neostigmine used for reversal of vecuronium blockade:
1. Atropine
2. Nicotine
3. Pilocarpine
4. Pyridostigmine

Correct answer: 1. Atropine

Explanation: Atropine or glycopyrolate is used with neostigmine to prevent muscarinic side effect of neostigmine Anticholinergic drugs (e.g. atropine, glycopyrrolate) are routinely administered with anticholinesterases in order toattenuate the undesirable muscarinic effects. Glycopyrrolate is used as a pre-anesthetic agent for reducing the secretions.